Carbon dioxide trasported in blood mostly as -
1. CarboxyHb
2. In combination with plasma proteins
3. Bicarbonate
4. Carbonic acid dissolved in plasma

Correct answer: 3. Bicarbonate

Explanation: Dissolution, hemoglobin binding, and the bicarbonate buffer system are ways in which carbon dioxide is transported throughout the body. In the bicarbonate buffer system, the most common form of carbon dioxide transportation in the blood, carbon dioxide is finally expelled from the body through the lungs during exhalation.